Ladder pattern of DNA electrophoresis in apoptosis is caused by the action of the following enzyme
1. Endonuclease
2. Transglutaminase
3. DNAse
4. Caspase

Correct answer: 1. Endonuclease

Explanation: 1.Apoptosis progresses quickly and its products are quickly removed, making it difficult or visualize. 2.During karyorrhexis endonuclease activation leaves short DNA fragments, regularly spaced in size. 3.this gives a characteristic laddered appearance on agar gel electrophoresis. 4.This laddered pattern is characteristic but not specific for apoptosis..It may seen in necrosis also. Ref Endonuclease. Robbins 7 th /edition, pg 26, 27and 28.